Drug used in Toxoplasmosis is :
1. Pyrimethamine
2. Ribovarin
3. Ganciclovir
4. Tetracycline

Correct answer: 1. Pyrimethamine

Explanation: Ans. is 'a' i.e. Pyrimethamine Doc for Toxoplasmosis - Pyrimethamine and Trimethoprim